Vitamin A deficiency causes all of the following EXCEPT:-
1. Growth retardation due to  impairment in skeletal formation
2. Degeneration of germinal epithelium leading to sterility in males
3. Nyctalopia
4. Loss of weight, irritability, loss of hair and joint pains

Correct answer: 4. Loss of weight, irritability, loss of hair and joint pains

Explanation: Night blindness (nyctalopia) is one of the earliest symptoms of vitamin A deﬁciency.
Vitamin A deﬁciency results in growth retardation due to impairment in skeletal formation.
The reproductive system is adversely aﬀected in vitamin A deﬁciency. Degeneration of germinal  epithelium leads to sterility in males. 
Excessive consumption of vitamin A leads to toxicity. 
The  symptoms of hypervitaminosis A include dermatitis (drying and redness of skin), enlargement of liver, skeletal decalciﬁcation, tenderness of long bones, loss of weight, irritability, loss of hair, joint  pains etc.

Key Concept:
Vitamin A deﬁciency causes growth retardation due to impairment in skeletal formation,degeneration of germinal epithelium leading to sterility in male and nyctalopia
Reference: Satyanarayana- Biochemistry, 3rd edition, pg-123